Which of the following is/are a symptom of Pheochromocytoma?
1. Palpitation
2. Headache
3. Diaphoresis
4. All of the above

Correct answer: 4. All of the above

Explanation: Most common symptoms associated with pheochromocytoma are 

Palpitations 
Headache 
Episodic sweating (diaphoresis)